Proteins which is having DNA binding domain in its structure
1. Zinc finger
2. Helix-turn-helix
3. Leucine zipper
4. All of these

Correct answer: 4. All of these